Nongastrointestinal complications of Crohn's disease include:
1. Renal calculi
2. Cholelithiasis
3. Arthritis
4. All of the above

Correct answer: 4. All of the above

Explanation: Although Crohn's disease is primarily a disease involving the alimentary tract, involvement of extraintestinal tissues (joints, skin, and eyes) is common and indicates that Crohn's disease is a systemic disorder rather than a localized intestinal disease. In addition to specific processes, secondary consequences of impaired intestinal absorption and resulting malnutrition include anemia due to specific deficits in vitamins, trace elements, and bile acids and electrolytes. Growth retardation and delayed bone maturation are present in 10-40% of children and adolescents with this disease. Patients with terminal ileal disease are also prone to develop renal urate or oxalate stones. Furthermore, as the result of altered bile salt metabolism and the development of lithogenic bile, patients with ileal disease and ileal resections are also at risk for cholelithiasis.